All are complication of ileal resection, except :
1. Megaloblastic anaemia
2. Iron deficiency anaemia
3. Gastric hypersecretion
4. Malabsorption syndrome

Correct answer: 2. Iron deficiency anaemia

Explanation: Answer is B (Iron deficiency anaemia): Iron is primarily absorbed in duodenum therefore ileal resection will not cause iron deficiency anaemia. All other options are true and explained in the previous question.